Which protein is absent in saliva?
1. Lactoferrin
2. Amylase
3. Mucin
4. Intrinsic factor

Correct answer: 4. Intrinsic factor

Explanation: Intrinsic factor is secreted by the parietal cells of the stomach and is not secreted by the salivary glands. Lactoferrin, amylase, mucin, and muramidase are found in saliva.